Electronic apex locator is used in Endodontics to determine the
1. Root canal morphology
2. Working length
3. Pulp stone Location
4. Pulp vitality

Correct answer: 2. Working length